Which of the following is the least common site of atherosclerotic lesions -
1. Aortic bifurcation
2. Pulmonary arterial trunk
3. Common carotid artery
4. Middle cerebral artery

Correct answer: 2. Pulmonary arterial trunk